NADPH+ is generated in the reaction catalysed by
1. LDH
2. G–6 PD
3. G–3 PD
4. Alcohol dehydrogenase

Correct answer: 2. G–6 PD

Explanation: Amongst the given options, only G6-PD (glucose-6-phosphate dehydrogenase) is NADP linked enzyme.
NAD+ -linked dehydrogenases: Pyruvate dehydrogenase, isocitrate dehydrogenase, malate dehydrogenase. α -ketoglutarate dehydrogenase, glutamate dehydrogenase, glyceraldehyde-3-P dehydrogenase, lactate dehydrogenase, β -hydroxy acyl CoA dehydrogenase, glycerol 3-P dehydrogenase (cytoplasmic).

NADP+-linked dehydrogenases :Glucose-6-P dehydrogenase, 6-Phosphogluconate dehydrogenase, 3-ketoacyl reductase, Enoyl reductase.

FAD-linked dehydrogenases: Succinate dehydrogenase, fatty acyl CoA dehydrogenase, glycerol-3P dehydrogenase (mitochondrial).